Abruptio placentae can be classified on the basis of
1. Anatomic locations of placenta
2. Pathological features including blood coagulation profile
3. Clinical findings
4. Investigations using ultrasound

Correct answer: 3. Clinical findings

Explanation: Abruptio placentae is classified in 4 grades - grade 0 to grade 3 according to case classification. Depending upon the degree of placental abruption and its clinical effects including bleeding per vaginum, uterine tenderness, condition of fetus, features of shock, associated coagulation defect and kidney function, cases are classified into four grades.